All are true about P-value except-
1. It is the probability of committing type I error
2. I s equal to I-ss
3. Is the chance that the presence of difference is concluded when actually there is none
4. When p-value is less than a, the result is statistically significant

Correct answer: 2. I s equal to I-ss

Explanation: Is equal to 1-ss. Type 1 error is usually fixed in advance by the choice of level of significance employed in the test. Power of a test:1-ss -is probability of rejecting a null hypothesis when a predetermined clinically significant difference is indeed present. -power can be increased by increasing the no. of subjects in a trial. Reference:Simple Biostatistics by Indrayan & Indrayan,1st edition,page no.155.